Which of the following laboratory findings is known as 'biochemical marker of pre-eclampsia'?
1. Low platelets
2. Raised serum Na
3. Elevated liver enzymes
4. Serum uric acid

Correct answer: 4. Serum uric acid

Explanation: A serum uric acid level (biochemical marker of pre-eclampsia) of more than 4.5 mg/dl indicates the presence of pre-eclampsia. Blood urea level remains normal or slightly raised. Serum creatinine level may be more than 1 mg/dl. There may be thrombocytopenia and abnormal coagulation profile of varying degrees. Hepatic enzyme levels will be increased. Ref: Textbook of Obstetrics D C Dutta, 6th edition, Page 227.